In septum primum type of ASD overburden occurs in which chamber?
1. RA + RV
2. LA + LV
3. RA + LA
4. LA

Correct answer: 1. RA + RV

Explanation: - In ASD (ostium primum as well as secundum) overload of Right atrium and right ventricle occurs due to left to right shunting of blood. - Left atrium & Left ventricle enlargement - VSD, PDA - Left atrium enlargement - Mitral stenosis